In which of the following clinical conditions, use of anticoagulants provide maximum benefit ?
1. Prevention, of recurrences of myocardial infarction
2. Prevention of venous thrombosis and pulmonary embolism
3. Cerebrovascular accident
4. Retinal artery thrombosis

Correct answer: 2. Prevention of venous thrombosis and pulmonary embolism